Which of the following cytokines are elevated in endometroisis
1. IL-4
2. IL-5
3. IL-6
4. IL-7

Correct answer: 3. IL-6

Explanation: IL-1β, IL-6 and IL-8 are elevated in endometriosis.